Which of the following best explains why Lignocaine has a higher fetal-to-maternal plasma ratio when compared with bupivacaine?
1. Bupivacaine has low molecular weight
2. Lignocaine has higher protein-binding
3. Bupivacaine has a lower dissociation constant (pKa)
4. Lignocaine is less protein bound

Correct answer: 4. Lignocaine is less protein bound

Explanation: Lignocaine is  less protein bound than bupivacaine. Unbound form of drug thus easily gets transferred across placenta.